Arterial supply of tonsil is mainly:
1. Tonsillar branch of facial artery
2. Maxillary artery
3. Middle meningeal artery
4. Internal carotid artery

Correct answer: 1. Tonsillar branch of facial artery

Explanation: (a) Tonsillar branch of facial artery(Ref. Scott Brown, 8th ed., Vol 3; 742)The arterial supply to tonsil is by external carotid artery branches.Maxillary artery also supplies the tonsil but the main artery supplying is the tonsillar branch of facial.Middle meningeal artery, a branch of maxillary artery, does not supply the tonsil.